True about Asystole is all except
1. Most common cause of cardiac arrest in children
2. Sequence of resuscitation is c - a - b
3. Defibrillation is done as early as possible
4. Adrenaline is the drug of choice

Correct answer: 3. Defibrillation is done as early as possible

Explanation: In Asystole defribillation is not done Asystole is a non-shockable rhythm- defibrillation if of no benefit. It involves a heterogeneous group of cardiac rhythms all without a pulse. The immediate treatment for this is giving chest compressions and 1 mg epinephrine at the earliest until more definitive therapy to the cause can be instituted. It is essential to rule out the reversible causes of cardiac arrest because the treatment for each of them is different and Asystole is likely to persist until the cause is treated. A non-shockable rhythmcould beasystole or pulseless electrical activity